Which of the following is not a finding in classical
hemophilia (hemophilia A):
1. Bleeding into soft tissues, muscles, and joints
2. Decreased factor VIII
3. Increase Prothrombin Time
4. Increase Partial Thrornboplastin Time

Correct answer: 3. Increase Prothrombin Time